Black colour code is used in four code system of triage management in disaster for -
1. Ambulatory pateints
2. Low priority pateints
3. Dead patients
4. High priority patients

Correct answer: 3. Dead patients

Explanation: -triage consists of rapidly classifying the injured on the basis of severity of their injuries and the likelihood of their survival with prompt medical intervention. - black colour triage is for moribund and dead patients Reference: Park's textbook of preventive and social medicine, 23rd edition, pg no: 796